The most common benign tumor occurring in oral cavity is:
1. Papilloma
2. Fibroma
3. Adenoma
4. Epulis

Correct answer: 2. Fibroma